Infectious stage of plasmodium is:
1. Trophozoite
2. Cryptozoite
3. Sporozoite
4. Merozoite

Correct answer: 3. Sporozoite

Explanation: Ans. (c)(Ref: Medical Parasitology by D.R. Arora and B. Arora, 2nd edition)Malaria parasites exhibit a complex life cycle involving alternating cycles of asexual division (schizogony) occurring in man (intermediate host) and sexual development (sporogony) in mosquito (definitive host). Thus, malaria exhibits alteration of generation. The sporozoite is the infective stage found in the salivary gland of the female mosquito.